Postcoital test for infelity is used to assess:
1. Cervical factor
2. Uterine factor
3. Tubal factor
4. Male factor

Correct answer: 1. Cervical factor

Explanation: The cervical mucus is examined for its quantity, viscosity, and fern test. The advantage of this test is that the cervical mucus can be simultaneously studied for estrogenic effect and ovulation, its capability to allow sperm penetration, and the presence of any antisperm antibodies. The woman presents herself at the clinic within 2h after the intercourse. The mucus is aspirated from the cervical canal and spread over a glass slide. The presence of antispermal antibodies in the cervical mucus imparts shaky or rotatory movements to the sperms or may totally immobilize them.